Following is true of T. pallidum except -
1. Can be maintained in rabbit testis
2. Motile by peritrichate flagella
3. To visualise, dark ground microscopy is used
4. TPI test is very-useful

Correct answer: 2. Motile by peritrichate flagella

Explanation: Option 1 Culture: - Pathogenic treponemes cannot be grown in artificial culture media but are maintained rabbit testes. - However, nonpathogenic treponemes (e.g. Reiter treponemes) can be cultured in Smith Noguchi media Option 2 - It is actively motile. Endoflagella are responsible for motility of the bacteria. Option 3 Direct Microscopy: - Dark field microscopy - Direct IF staining from sample (DFA-TP) - Silver impregnation method Option 4 - TPI : Specific Treponemal test for diagnosis of Syphilis.